'Alien limb' is characteristically seen in:
1. Cortico basal degeneration
2. Diffuse Lewy body disease
3. Fronto temporal dementia
4. Alzheimer's disease

Correct answer: 1. Cortico basal degeneration

Explanation: Corticobasal degeneration (CBD) is a slowly progressive dementing illness associated with severe gliosis and neuronal loss in both the cortex and basal ganglia. CBD with unilateral onset presents with rigidity, dystonia, and apraxia of one arm and hand, sometimes called the alien limb when it begins to exhibit unintended motor actions. Ref: Harrisons principles of internal medicine, 18th edition, Page: 3312.